Acute alcohol consumption causes:
1. Inhibits ketogenesis
2. Lactic acidosis
3. Increased gluconeogenesis
4. Decreases brain GABA

Correct answer: 2. Lactic acidosis

Explanation: Raf: Harrison's Principles of Internal Medicine, 18thedition, pg 3546Explanation:Alcohol inhibits gluconeogenesis, and hence hypoglycemia occurs acutely.Ethanol is oxidized to acetaldehyde, which causes NAD reduced to NADHHigh NADH - increase lactate levels, impair gluconeogenesis. increase in beta -OH butyrate levels which is the predominant ketone in alcoholic keto acidosis (AKa).In AKA, mild hyperglycemia with ketonemia occurs.Alocohol increases GABAReleases cortisol. ACTH. dopamine & glutamateHypoglycemia Alcoholic ketoacidosisGABA enhancer, diminishes NMDA, anti-convulsant. sleep-inducing, antianxiety, muscle relaxationEnhances dopamine, craving, increases cortisol. ACTHBeta endorphin & glutamate releaseEffects of Blood Alcohol Levels in the Absence of ToleranceBlood Level, g/dLUsual Effect0.02Decreased inhibitions, a slight feeling of intoxication0.08Decrease in complex cognitive functions and motor performance0.20Obvious slurred speech, motor incoordination, irritability, and poor judgment0.30Light coma and depressed vital signs0.40Death